A 45 year old woman attends gynecology department with prolonged vaginal bleeding. On examination, cervical lesion is found that bleeds on touch. Her past history is insignificant. She had undergone pap smear around 10 years ago, which was normal. What is the next best investigation
1. Hysteroscopy
2. MRI scan - pelvis
3. Cervical punch biopsy
4. LEEP

Correct answer: 3. Cervical punch biopsy

Explanation: Histological diagnosis has to be made prior to imaging or treatment.